Which of the following dorsiflexes the foot -
1. Tibialis posterior
2. Tibialis anterior
3. Peroneus brevis
4. Extensordigitorum brevis

Correct answer: 2. Tibialis anterior

Explanation: Ans. is 'b' i.e., Tibialis anterior Ankle movementPrincipal musclesAccessory musclesDorsiflexionTibialis anteriorEDL, EHL, Peroneus tertiusPlantar flexionGastrocnemius, SoleusPlantaris. Tibialis posterior, FDL, FHL